Rathi, 26 years old female diagnosed to be suffering from depression. Now for the past 2 days had sucidal tendency, thought & ideas. The best treatment is
1. Amitryptiline
2. Selegidine
3. Haloperidol + CPZ
4. ECT

Correct answer: 4. ECT

Explanation: D i.e. ECT